HBV is associated with all of the following except:
1. Hepatic cancer
2. Chronic hepatitis
3. Hepatic adenoma
4. Cirrhosis

Correct answer: 3. Hepatic adenoma

Explanation: Ans. is 'c' i.e., Hepatic adenoma (Ref: Harrison, 18th/e, p 2552; 17th/e, p. 1944, 1945)* Hepatic complications of HBV infection are acute hepatitis, chronic hepatitis, fulminant hepatitis, cirrhosis and HCC.